Early detection of Streptococcus pyogenes is by?
1. Bacitracin
2. Oxaciliicin
3. Methidllin
4. Optochin

Correct answer: 1. Bacitracin

Explanation: ANSWER: (A) BacitracinREF: Jawetz Microbiology, 24th Ed, Ch. 15See previous questionStreptococcus pyogenes are PYR-positive (hydrolysis of L-pyrrolidonyl-2-naphthylamide) and usually are susceptible to bacitracin.